Agnes Hunt traction is used for?
1. Flexion deformity of hip
2. Trochanteric fracture
3. Fracture shaft of femur in adults
4. Low backache

Correct answer: 1. Flexion deformity of hip

Explanation: Agnes Hunt traction is used for correction of mild flexion deformity of hip joint in poliomyelitis. Traction used for trochanteric fracture - Russell's traction Traction used for fracture shaft of femur in adults - Perkin's traction Traction used for low backache - Buck's traction Ref : maheswari 9th ed